Fracture shaft of humerus damages which nerve?
1. Radial nerve
2. Median nerve
3. Axillary nerve
4. Ulnar nerve

Correct answer: 1. Radial nerve

Explanation: ANSWER: (A) Radial nerveREF: Snell's anatomy 7th ed p. 484Radial nerve injury is seen in:Fracture shaft of humerusSaturday night palsyInjection palsyFeatures of radial nerve injury:Sensory loss over area supplied by posterior cutaneous nerve of forearm.Wrist, thumb and finger extension is lost.